A hospital nurse is taking Imipramine for a phobic anxiety disorder, and her patient is being treated with chlorpromazine for a psychotic disorder. Which of the following adverse effect is likely to occur in both of them?
1. Excessive salivation
2. Pupillary constriction
3. Orthostatic hypotension
4. Seizure

Correct answer: 3. Orthostatic hypotension

Explanation: Imipramine belongs to Tricyclic antidepressants which have these side effects, such as orthostatic hypotension, drowsiness, cardiac conduction delay, memory impairment, constipation, and urinary retention.Chlorpromazine belongs to Dopamine receptor antagonists, which is more sedating and anticholinergic and more likely to cause orthostatic hypotension.They both have alpha-blocking activity which results in orthostatic hypotension.Reference: Harrison's Principles of Internal Medicine; 19th edition; Chapter 466; Mental disorders